Rotator cuff is/are formed by all except -
1. Supraspinatus
2. Infraspinatus
3. Teres minor
4. Teres major

Correct answer: 4. Teres major

Explanation: Ans. is 'd' i.e., Teres majoro Rotator cuff (Musculotendinous cuff is formed by blending of tendons of supraspinatus (superiorly); infraspinatus and teres minor (psoteriorly) and subscapularis (anteriorly).